Oral iron chelating agent -
1. Penicillamine
2. Desferrioxamine
3. Deferiprone
4. Ca Na EDTA

Correct answer: 3. Deferiprone

Explanation: Ans. is 'c' i.e., Deferiprone Deferiprone* It is an orally active iron chelator which has simplified the treatment of transfusion siderosis in thalassemia patients.* Excessive haemolysis occurs in these patients, and they have to be given repeated blood transfusions.* An iron chelator has to be used to clear the resulting iron overload.* Oral deferiprone is a somewhat less effective alternative to injected desferrioxamine.* Side effects and cost of treatment are reduced.* Deferiprone has also been indicated for acute iron poisoning (less effective than desferrioxamine) and for iron load in liver cirrhosis.* Side effects are anorexia, vomiting, altered taste, joint pain, reversible neutropenia, rarely agranulocytosis. However, long-term safety is not yet known.